True about rickets -
1. Decreased alkaline phosphatase
2. Hyperphosphatemia
3. Hypophosphatemia
4. Hypophosphaturia

Correct answer: 3. Hypophosphatemia

Explanation: In children, before epiphyseal fusion, vita- min D deficiency results in growth retardation associated with an expansion of the growth plate known as rickets. Vitamin D deficiency leads to impaired intestinal absorption of calcium, resulting in decreased serum total and ionized calcium values. This hypocalcemia results in secondary hyperparathyroidism, a homeostatic response that initially maintains serum calcium levels at the expense of the skeleton. Due to the PTH-induced increase in bone turnover, alkaline phosphatase levels are often increased. In addition to increasing bone resorption, PTH decreases urinary calcium excretion while promoting phosphaturia. This results in hypophosphatemia, which exacerbates the mineralization defect in the skeleton. Reference : page 2465-66 Harrison's Principles of Internal Medicine 19th edition